Oxygen dissociation curve is shifted to right in
1. Hyperkalemia
2. Hypokalemia
3. Anemia
4. Metabalic alkalosis

Correct answer: 3. Anemia

Explanation: ODC shifted to right in anemia. Ref: Ganong review of medical physiology 23rd edition Page no: 610 The causes of shift to right can be remembered using the mnemonic, "CADET, face Right!" for CO2, Acid, 2,3-DPG, Exercise and Temperature. Ref: wikipedia